Segmented genome is found in:
1. Retrovirus
2. Rotavirus
3. Poliovirus
4. Rhabdovirus

Correct answer: 2. Rotavirus

Explanation: Ans. is 'b' i.e., RotavirusRotavirus has segmented linear dsRNA genome.Virus having segmented genome - (Mnemonic - PARBO virus)P - PicornavirusA - ArenaviridaeR - Reoviridae B - BunyaviridaeO - Orthomyxoviridae